Sleep spindles are seen in which stage
1. Stage 1
2. Stage 2
3. Stage 3
4. Stage 4

Correct answer: 2. Stage 2

Explanation: Sleep spindles are bursts of neural oscillatory activity that are generated by interplay of the thalamic reticular nucleus (TRN) and other thalamic nuclei during stage 2 NREM sleep in a frequency range of ~11 to 16 Hz (usually 12-14 Hz ) with a duration of 0.5 seconds or greater (usually 0.5-1.5 seconds) After generation in the TRN, spindles are sustained and relayed to the cortex by a thalamo-thalamic and thalamo-cortical feedback loops regulated by both GABAergic and NMDA-receptor mediated glutamatergic neurotransmission. Sleep spindles have been found in all tested mammalian species and in vitro cells. Ref: guyton and hall textbook of medical physiology 12 edition page number: 822,823,824